Which of the following drug is associated with highest cardiac mortality?
1. Rofecoxib
2. Nicorandil
3. Losartan
4. Metoprolol

Correct answer: 1. Rofecoxib

Explanation: Rofecoxib is a selective COX-2 inhibitor that was withdrawn due to increased risk of MI. ARBs (losartan) and b blockers (metoprolol) are cardioprotective in CHF. These decrease the mortality. Nicorandil is a K+ channel opener used in angina. It is cardioprotective by causing ischemic pre-conditioning.